Wharton's duct drains the:
1. Pancreas
2. Parotid
3. Lacrimal gland
4. Submandibular gland

Correct answer: 4. Submandibular gland